Virus mediated transfer of host DNA from one cell to another is known as -
1. Transformation
2. Conjugation
3. Transduction
4. None

Correct answer: 3. Transduction

Explanation: TRANSDUCTION: the trannsfer of a portion of the DNA from one bacterium to another by a abactriophage is known as transduction . Bacteriophages are viruses that parasitise the bacteria and consist of a nucleic acid core and a protein coat. A phage particle may have its core beside its own nucleic acid a segment of host DNA . When this particle infects another bacterium DNA transfer is effected and the recepient cells acquire new characteristic coded by the donor DNA REF:Ananthanarayan and Panicker's Textbook ofMicrobiology 8thEdition pg no:63